Rules for criminal responsibility of the insane are all, except:
1. Hasse's rule
2. McNaughten's rule
3. Durham's rule
4. Curren's rule

Correct answer: 1. Hasse's rule

Explanation: Ans. Hasse's rule